According to Body weight method what is the amount of IV fluid required in first 24 hours for a child weighing 14 kg?
1. 1000
2. 1200
3. 1400
4. Any of the above

Correct answer: 2. 1200

Explanation: Ans. b (1200) (Ref. Nelson Textbook of Pediatrics, 17th ed. Table 46-1)BODY WEIGHT METHOD FOR CALCULATING MAINTENANCE FLUID VOLUMEBody WeightFluid per Day0-10 kg100 mL/kg11-20 kg1,000 mL + 50 mL/kg for each kg > 10 kg> 20 kg1,500 mL + 20 mL/kg for each kg > 10 kg** The maximum total fluid per day is normally 2,400 mL.Maintenance Water rate# 0-10 kg: 4 mL/kg/hr# 10-20 kg: 40 mL/hr + 2 mL/kg/hr x (wt-10 kg)# >20 kg: 60 mL/hr + 1 mL/kg/hr x (wt-20 kg)**The maximum fluid rate is normally 100 mL/hr.Maintenance Electrolytes# Sodium: 2-3 mEq/kg/24 hr# Potassium: 1-2 mEq/kg/24 hr